A 10 year old child presents with pallor & history of blood transfusion 2 months back. On investigation, Hb 4.5gm, total count 60000, platelet count- 2 lakhs and CD 10(+) ve, CD 19 (+)ve, CD 117 (+) ve, 1 VEPO (+) ve & CD 33(-)ve. What is the most likely diagnosis?
1. ALL
2. AML
3. Undifferentiated leukemia
4. Mixed phenotypic acute leukemia

Correct answer: 4. Mixed phenotypic acute leukemia